Proximal umbilical artery forms:
1. Superior vesical artery
2. Median umbilical fold
3. Lateral umbilical fold
4. Ligamentum teres

Correct answer: 1. Superior vesical artery

Explanation: Ans. A Superior vesical arteryRef: Netter's Atlas of Human Embryology, 2012 ed. pg. 86Structure nameDerivativeObliterated umbilical arteryMedial umbilical ligamentProximal part of umbilical arterySuperior vesical arteryInferior epigastric arteryLateral umbilical foldLeft umbilical veinLigamentum teresRight umbilical veinDisappearsDuctus venosusLigamentum venosumUrachusMedian umbilical ligamentVitello-intestinal duct Meckel's diverticulum